Platelets transfusion must be completed in how many hours after entering the bag
1. 1 hour
2. 2 hour
3. 3 hour
4. 4 hour

Correct answer: 4. 4 hour

Explanation: Answer- D. 4 hour Once the blood bag is opened hy puncturing one of the sealed ports, the platelets must be administered within 4 hours